1 week before incidence recall is called as
1. Working memory
2. Delayed memory
3. Recent memory
4. Remote memory

Correct answer: 3. Recent memory

Explanation: C i.e. Recent memory Information retained from milliseconds to seconds is ultra short term (iconic/echoic / sensoric) memory; immediate memory functions over a period of seconds; short term memory is held from seconds to minutes; recent memory applies on scale of minutes to daysQ; remote memory encompasses months to years and long term memory lasts from minutes to life span.